In poly cystic ovarian disease, which is not a feature :
1. Hirsutism
2. PolymenorrheaObesity
3. Obesity
4. Infertility

Correct answer: 2. PolymenorrheaObesity

Explanation: PolymenorrheaObesity